Increased temperature after ovulation is due to
1. Estrogen
2. Progesteron
3. FSH
4. LH

Correct answer: 2. Progesteron

Explanation: Ovulation is the release of egg from the ovaries. In humans, this event occurs when the de Graaf's follicles rupture and release the secondary oocyte ovarian cellsThe follicle proper has met the end of its lifespan. Without the oocyte, the follicle folds inward on itself, transforming into the corpus luteum(pl. corpora lutea), a steroidogenic cluster of cells that produce estrogen and progesterone. These hormones induce the endometrial glands to begin production of the proliferative endometrium and later into secretory endometrium, the site of embryonic growth if implantation occurs. The action of progesterone increases basal body temperature by one-quarter to one-half degree Celsius (one-half to one degree Fahrenheit). The corpus luteum continues this paracrine action for the remainder of the menstrual cycle, maintaining the endometrium, before disintegrating into scar tissue during menses.Ref: Ganong's review of medical physiology;24th edition; page no:-401